A 17-year-old unmarried girl presents with fever, nausea, vomiting, pallor and pain abdomen. She is having foul smelling blood stained discharge per vaginum. Your most likely diagnosis of this case is
1. Twisted ovarian cyst
2. Typhoid with enteric perforation
3. Pelvic abscess with septic peritonitis
4. Ruptured ectopic pregnancy

Correct answer: 3. Pelvic abscess with septic peritonitis

Explanation: It is a case of septic abortion complicated by septic peritonitis and pelvic abscess. As the patient is unmarried she had some procedure as criminal abortion to terminate unwanted pregnancy. In case of twisted ovarian cyst, fever and vaginal discharge are absent. In ruptured ectopic pregnancy, same findings are there but fever is usually absent and vaginal discharge is not foul smelling, there is only slight bleeding